Which of the following is false about Rheumatoid arthritis?
1. Often associated with hypertrophy of synovial membrane
2. Rheumatoid nodules are often painless
3. Ligament fibrosis is common early in the disease
4. The disorder cause permanent deformity

Correct answer: 3. Ligament fibrosis is common early in the disease

Explanation: Option A: Yes, synovial membrane damage it is example of erosive arthritis causing deformities like z line deformity, or swan neck deformity etc. Option B: Yes, Rheumatoid nodules are painless. Option C: In R.A. ligament laxity is a presentation but not ligament fibrosis.